In MPDS which muscle is most apt to exhibit tenderness:
1. Tern poratis
2. Buccinator
3. Masseter
4. Lateral pterygoid

Correct answer: 4. Lateral pterygoid